Greater petrosal nerve carries fibers of -
1. Trochlear nerve
2. Facial nerve
3. Vagus nerve
4. Oculomotor nerve

Correct answer: 2. Facial nerve

Explanation: Ans. is 'b' i.e., Facial nerve Petrosal nervesGreater petorsal nerveo First branch of facial nerve o Arises from geniculate gangliono In foramen lacerum it joins deep petorsal nerve and forms the nerve to pterygoid canal o Supplies lacrimal glands, nose, mucosal glands of pharynx, palate.Lesser petorsal nerveo Branch of 9th cranial nerve through tympanic plexus (passes via otic ganglion) o It suplies parotid gland.Deep petorsal nerveo It is a branch of sympathetic plexus around internal carotid artery.o It contains cervical sympathetic fibers.External petorsal nerveo It is an inconsistant branch of sympathetic plexus around middle meningeal artery.